16-year-old girl presents with rapid onset hirsutism and amenorrhea. Best investigation is:
1. Testosterone estimation
2. Dihydroepiandrosterone
3. Adrenocorticoids
4. LH and FSH estimation

Correct answer: 1. Testosterone estimation